Pain in vertex is seen in
1. Ethmoid sinusitis
2. Sphenoid sinusitis
3. Frontal sinusitis
4. Maxillary sinusitis

Correct answer: 2. Sphenoid sinusitis

Explanation: In sphenoiditis, vertex headache is common, but pain can be localized in frontal, temporal, periorbital, or occipital regions or can be vague or occur anywhere in the craniofacial region.